Which of the following drug is not used for overactive bladder?
1. Duloxetine
2. Darifenacin
3. Oxybutynin
4. Flavoxate

Correct answer: 1. Duloxetine